Which of the following findings expected on microscopic examination of biopsy from heart showing ventricular hypertrophy with asymmetric septal thickening
1. Aschoff bodies
2. Disorganisation of myofibrils
3. Infiltration by inflammatory cells
4. Localised fibrous scarring

Correct answer: 2. Disorganisation of myofibrils